Cutaneous tuberculosis secondary to underlying tissue is called as –
1. Lupus vulgaris
2. Scrofuloderma
3. Spina ventosa
4. Tuberculous verrucosa cutis

Correct answer: 2. Scrofuloderma